Which of the following inherited neutropenias show a self limited course?
1. Shwachman-Diamond syndrome
2. Dyskeratosis congenita
3. Chiediak higashi syndrome
4. Autoimmune neutropenia of infancy

Correct answer: 4. Autoimmune neutropenia of infancy

Explanation: Answer- D. Autoimmune neutropenia of infancyIt is recognized as a fairly specific syndrome of early childhood.Low neutrophil numbers are often discovered during the course ofroutine investigation for benign febrile illness.The illness abates but the neutropenia persists, sometimes for months and occasionally for years.The prognosis is good and neutropenia is self-limited albeit protracted, and patients seldom develop serious bacterial infections.